Which is the commonest Post splenectomy infection?
1. Streptococcus pyogenes
2. Staphylococcus aureus
3. Streptococcus Pneumoniae
4. Pseudomonas aeruginosa

Correct answer: 3. Streptococcus Pneumoniae

Explanation: Ans is c ie. Streptococcus Streptococcus pneumoniae is the most common inf. in post splenectomy patient. * Schwartz 9/e writes -"The most common causal organism, accounting for as many as 50 to 90% of all OPSI * cases, remains pneumococcus. Meningococcus, H. influenzae type B, and group A streptococci follow in order of frequency."